Which of the following drugs is effective against Pseudomonas infection ?
1. Ampicillin
2. Ceftriaxone
3. Colistin
4. Cefixime

Correct answer: 3. Colistin

Explanation: Ans. is 'c' i.e., Colistin o Polypeptides like colistin and polymyxin B are effective against pseudomonas. o Carbenicillin, ticarcillin, piperacillin, azlocillin and mezlocillin are the penicillins effective against pseudomonas whereas cefoperazone, ceftazidime, cefepime and cefpirome are cephalosporins effective against pseudomonas.